Malignant germ cell tumours of ovary includes all of the following except:a)  Choriocarcinoma b) Arrhenoblastomac) Brenner's tumord) Serous cystadenomae) Teratoma
1. abc
2. acd
3. ac
4. bcd

Correct answer: 4. bcd

Explanation: Germ cell Tumors of ovary:
Mnemonic: YES PCT
Y - Yolk sac Tumor (Endodermal sinus Tm)
E - Embroyonal carcinoma
S - Seminoma ≈ Dysgerminoma
P - Polyembryoma
C - Choriocarcinoma
T - Teratoma ≈ Dermoid
In contrast to slow growing epithelial ovarian tumors, germ cell malignancies grow rapidly and are characterised by subacute pelvic pain.
• Most common germ cell Tumor – Mature teratoma or Dermoid cyst (Benign in nature).
• Most common malignant GCT – Dysgerminoma.
• Second most common malignant GCT – Endodermal sinus Tumor. (Yolk Sac tumor)
• Most common benign Tumor of ovary – Dermoid cyst